A 30 year old male patient complains of fracture of upper front tooth. Patient gives h/o RCT with 11. Aluminous porcelain was used to make ceramic prosthesis for 11. This prosthesis is contraindicated in all of the following EXCEPT-
1. Molar crowns
2. Bridges
3. Core ceramic for anterior crown
4. Bruxism

Correct answer: 3. Core ceramic for anterior crown